In an Autosomal Dominant disorder, mother is affected but is heterozygous. Father is normal. What are the chance of disease in children?
1. 50% affected
2. 25% affected
3. 75% affected
4. All affected

Correct answer: 1. 50% affected

Explanation: Ans. (a) 50% affected(Ref: Robbins 9th/pg 140; 8th/pg 140)In an Autosomal Dominant disorder, mother is affected but is heterozygous and father is normal.Therefore, the chances of disease in children is 50%